Which of the following drugs acts on trabecular meshwork and affects the aqueous outflow?
1. Timolol
2. Pilocarpine
3. Brimonidine
4. Brinzolamide

Correct answer: 2. Pilocarpine

Explanation: Ans. b. Pilocarpine (Ref: Katzung 12/e p161; KDT 6/e p145)Pilocarpine acts on trabecular meshwork and affects the aqueous outflow.Drugs for GlaucomaMechanism of ActionBrimonidine* Lowers IOT by 20-27% by reducing aqueous production and by increasing uveoscleral flowQLatanoprost* Increase the uveoscleral outflowQ.Pilocarpine* Increases trabecular outflowQBetaxolol* Reduces aqueous secretion by ciliary bodyQ Drug/ClassAqueous secretionTrabecular outflowUveoscleral outflowBeta-blockers (Timolol)|--Adrenaline/dipivefrine|?||Brimonidine/apraclonidine|-|Prostaglandins (latanoprost)-|?|Miotics (pilocarpine)-|-Carbonic anhydrase inhibitors|--